All the following are seen in cardiac tamponade except
1. Pulsus paradoxus
2. Diastolic collapse in right ventricular on Echocardiogram
3. Electrical alternans
4. Kussmaul's sign

Correct answer: 4. Kussmaul's sign

Explanation: Ref Harrison 19 th ed pg 1573 Pulsus paradoxus clinically, electrical alternans on ECG and RVDC on Echocardiography are characteristic features of cardiac tamponade.